Fungi with no sexual stage:
1. Imperfect fungi
2. Phycomycetes
3. Basidiomycetes
4. Ascomycetes

Correct answer: 1. Imperfect fungi

Explanation: Fungi imperfecti also called as Deuteromycetes or Hyphomycetes is a provisional group of fungi whose sexual stages have not been identified.